All of the following are components of Light's criteria for pleural effusion except:
1. Effusion protein/serum protein ratio greater than 0.5
2. Effusion lactate dehydrogenase (LDH)/serum LDH ratio greater than 0.6
3. Effusion LDH level greater than two-thirds the upper limit of the laboratory's reference range of serum LDH
4. Effusion sugar is less than 2/3rd of blood sugar

Correct answer: 4. Effusion sugar is less than 2/3rd of blood sugar

Explanation: LIGHT CRITERIA Pleural fluid protein/Serum protein >0.5 Pleural fluid LDH/Serum LDH >0.6 Pleural fluid LDH more than two-thirds normal upper limit for serum Exudative pleural effusions meet at least one of the following criteria, whereas transudative pleural effusions meet none These criteria misidentify ~25% of transudates as exudates.